Which of the following in spermatic is not damaged during vasectomy
1. Testicular artery
2. Ilioinguinal nerve
3. Autonomic nerve
4. Pampiniform plexus

Correct answer: 2. Ilioinguinal nerve

Explanation: Ilioinguinal nerve is not a constituent of spermatic cord, hence it is not damaged during vasectomy Ref: Grays 40th edition Pgno : 1262 Vasectomy for sterilisation Vasectomy for sterilisation is a common and effective contraceptive procedure. It should be undertaken only after the couple has been carefully counselled. Both partners need to know that the operation is performed to make the man permanently sterile. They should be warned that normal contraceptive precautions should continue until the success of the operation is confirmed by semen analysis performed 12-16 weeks after surgery. They should also be warned of the possibility of spontaneous recanalisation, which may restore fertility unexpectedly and of the possibility of chronic testicular pain that may occur in up to 5% of men. Vasectomy is easily and painlessly performed under local anaesthetic. The vasa are delivered through tiny bilateral scrotal incisions or through a single midline scrotal incision. For medico-legal reasons it is wise to remove a segment of each vas to prove that it has been successfully divided. Burying the cut ends, fascial interposition or turning them back on themselves helps to prevent them rejoining. Reversal of vasectomy may not restore fertility even if the surgery is technically successful because of damage to the testis secondary to the vasectomy. Although patency rates of 80% or more are commonly reported, successful fertility rates are much lower, and diminish with increasing delay from the time of vasectomy. Ref: Bailey and love 27th edition Pgno : 1512